The commonest tumour of parotid is
1. Mucoepidermoid
2. Mixed parotid tumour
3. Adenolymphoma
4. Squamous cell carcinoma

Correct answer: 2. Mixed parotid tumour

Explanation: Pleomorphic adenomas are benign tumors that consist of a mixture of ductal (epithelial) and myoepithelial cells, and therefore they show both epithelial and mesenchymal differentiation. Because of their remarkable histologic diversity, these neoplasms have also been called mixed tumors. They represent about 60% of tumors in the parotid. Warthin tumor is the second most common. Both are benign. Robbins 9e pg: 745